Snow storm appearance and loose bodies of knee joint is seen in:
1. Chondromalacia patella
2. Ewings sarcoma
3. Chondromatosis synoe
4. Lateral band syndrome

Correct answer: 3. Chondromatosis synoe

Explanation: Chondromatosis synoe